Which does not act by blocking NMDA receptors-
1. Methoxetamine
2. Methadone
3. Ketamine
4. Diltiazem

Correct answer: 4. Diltiazem

Explanation: Ans. is 'd' i.e., Diltiazem o Drugs acting bv blocking NMD A receptors are:i) Methoxetamineii) Methadoneiii) Felbamateiv) Acamprostv) Ketaminevi) Phencyclidinevii) Dizocilpineviii) Dextropropoxypheneix) Tramadolx) Pethidinexi) Atomoxetinexii) Nitrous oxide